Jerne's hypothesis is for
1. Isotypic network
2. Idiotypic network
3. Alotypic network
4. Immune complex

Correct answer: 2. Idiotypic network

Explanation: Ans. b (Idiotypic network) (Ref. Anantanarayan, Microbiology, 6th ed., 91)Sequential anti-idiotypic antibody formation is the basis of Jeme's network hypothesis of immune regulation.IMMUNOGLOBULIN SPECIFICITIES# The immunoglobulin specificity of the greatest biological importances is idiotypic specificity pertaining to the nature of the antigen binding sites (paratopes); the specific antigenic determinants on the paratope are called idiotopes.# The sum total of idiotopes on an Ig molecule constitutes its idiotype.# By immunisation with Fab fragments, anti-idiotypic antibodies can be produced. These resemble the epitopes of the original antigen.# Used as a vaccine, these show protection against the original antigen (pathogen or tumor) in experimental animals.# Sequential anti-idiotypic antibody formation is the basis of Jerne's network hypothesis of immune regulation.# The antigenic specificities which distinguish between the different classes and subclasses of immunoglobulins present in all normal individuals of a given species are termed isotypic Specificities.# Antigenic specificities which distinguish immunoglobulins of the same class, between different groups of individuals in the same species, are called allotypic specificities.# Immunoglobulin allotypes have been studied in detail in the rabit and guinea pig by using type-specific immune sera.# Antiallotype antibodies are also found in sera containing 'rheumatoid arthritis factor'.# Two allotypic systems are known in humans - the Gm system (for gamma marker) and the InV system (abbreviation of patent's name). The Gm is associated with the Fc portion of the IgG heavy chain. More than 25 Gm types have been identified so far the InV system is associated with the Kappa light chain and so has been renamed Km. Three Km allotypes have been identified.# Genetic markers associated with IgA are called 'Am'.# To date, in the human system no allotypic markers have been found for lambda light chains or m, d or e heavy chains.